Galeazzi fracture is
1. Supracondylar fracture of the humerus
2. Fracture of the distal radius with inferior radio ulnar joint dislocation
3. Fracture of radius in the proximal site and dislocation of the elbow
4. Fracture of the radial head

Correct answer: 2. Fracture of the distal radius with inferior radio ulnar joint dislocation

Explanation: B i.e. Fracture of the distal radius with inferior radio ulnar joint dislocation Fractures of Forearm (Single Bone Fracture) Monteggia Fracture Dislocation Fracture of proximal third of ulna with dislocation of proximal radioulnar jointQ. Essex - Lopresti Fracture Dislocation - Fracture of radial head or neck, disruption of distal radial ulnar joint & tearing of interosseous membrane for a considerable distance proximally - Tethering effect of interosseous membrane is lost; if the radial head is resected, rapid proximal migration of the radius can occur, resulting in wrist pain from ulnar carpal impingment & elbow pain from radiocapitellar impingment. Galeazzi Fracture Dislocation Fracture of the distal third of radius and dislocation of the distal radio - ulnar jointQ. Galeazzi fracture is called the "fracture of necessity". Like monteggia fracture dislocation, it often go unrecognized. And a treatment regimen of closed reduction & cast immobilization has a high rate of unsatisfactory results. Rigid anatomical fixation by plating (DCP/ LC - DCP) is the treatment of choice in adultsQ.